Which occurs first in wound healing?
1. Thin continuous epithelial cover appears
2. Fibroblasts lay down collagen fiber
3. Granulation tissue fills the wound
4. Neutrophils line the wound edge

Correct answer: 4. Neutrophils line the wound edge

Explanation: STEPS IN WOUND HEALING Within 24 hours, neutrophils are seen at the incision margin ,migrating toward the fibrin clot (neutrophilic infiltration + blood clot) Within 24 to 48 hours, epithelial cells from both edges have begun to migrate and proliferate along the dermis and form continuous thin epithelial layer. day 3, neutrophils have been largely replaced by macrophages, and granulation tissue progressively invades the incision space , Collagen fibers are now evident at the incision margins but donot bridge the incision day 5, neovascularization reaches its peak as granulation tissue fills the incisional space , collagen fibrils bridge the incision , full epithelial thickness with surface keratinisation second week, there is continued collagen accumulation and fibroblast proliferation end of the first month, the scar consists of a cellular connective tissue, largely devoid of inflammatory cells, replacement of collagen type 3 with collagen type 1 ref:-basic pathology,robbins 9thed , page 71